The drug possessing antagonistic action at histamine, serotonin and muscarinic receptors is:
1. Promethazine
2. Terfenadine
3. Cyproheptadine
4. Hydroxyzine

Correct answer: 3. Cyproheptadine

Explanation: -Cyproheptadine blocks 5HT2A, H1 and muscarinic receptors. -It increases appetite and can be used to promote weight gain in children.